A pregnant woman presents with red degeneration of myoma. The management is
1. Myomectomy
2. Conservative
3. Hysterectomy
4. Termination of pregnancy

Correct answer: 2. Conservative

Explanation: Most fibroids do not increase in size during pregnancy. clinical symptoms and sonographic evidence of fibroid degeneration occurs in about 5% Very rarely does the presence of a fibroid during pregnancy lead to an unfavorable outcome Few complications of fibroids in pregnancy are: abortion preterm delivery placenta previa postpartum hemorrhage malpresentations increased operative interference Red degeneration develops most frequently in pregnancy The myoma becomes tense and tender and causes severe abdominal pain with constitutional upset and fever. The tumour itself assumes a peculiar purple red colour and develops a fishy odour. Although the patient is febrile with moderate leucocytosis and raised ESR, the condition is an aseptic one The treatment is done with conservative approach, using analgesics and bed rest